A patient presents to you with the features of biliary obstruction. He gives history of the consumption of fish while on the trip. Which of the following is most probable etiology?
1. Clonorchis sinensis
2. Ancylostoma
3. Strongyloides
4. Enterobius

Correct answer: 1. Clonorchis sinensis

Explanation: Ans. a. Clonorchis sinensis (Ref: Harrison 19/e p1428, 18/e p2008, 17/e p1330; http//www.ncbi.nlm.nih.gov/pubmed/12483392; www.ncbi.nlm.gov/pnbmed/3993073)